A Sub-centre in a hilly area caters to a population of
1. 1000
2. 2000
3. 3000
4. 5000

Correct answer: 3. 3000

Explanation: Population norms for health centres in india: Primary health care system ICDS system Centre Sub- centre PHC CHC Anganwadi Level of care Primary Primary Secondary - Population norm Plains Hilly/tribal areas 5000 3000 30,000 20,000 1,20,000 80,000 400-800 300-800